HIV targeted intervention not done in
1. Migrant labourers
2. Street children
3. Long distance truckers
4. Doctors and nursing professionals

Correct answer: 4. Doctors and nursing professionals

Explanation: Targeted intervention - It is a specific package of intervention & services which are given to population those who have either high risk of HIV or those who have reported high risk of HIV. Groups with high risk of HIV are: Commercial sex workers Injecting Drug Users Truck Drivers Migrant Labour Street children Transgender Adolescents - Hence, option-4 is the answer.